True about upper GI. bleedding -a) Malaena is the only symptomb) Bleeding occurs beyond the ampula of vaterc) Endoscopy can best diagnose itd) Peptic ulcer is the MC cause e) ↑ed BUN
1. abd
2. acd
3. bde
4. cde

Correct answer: 4. cde

Explanation: Upper gastrointestinal bleeding (UG1B) refers to blood loss within the intraluminal GIT from any location between the upper esophagus to the duodenum at the ligament of Treitz
Peptic ulcer disease is the MC cause of severe UG accounting for - 50% of total cases.
UGIB presents as hematemesis and/or melena.
Endoscopy is the diagnostic method of choice because of high sensitivity & specificity.
↓BUN is a clue to the diagnosis of Upper GI bleed. Harrison (17/e p259) writes - "Other clues to upper GI bleed include hyperactive bowel sounds and an elevated blood urea nitrogen level (due to volume depletion and blood proteins absorbed in the small intestine)".